All are cluster B disorders of personality except -
1. Antisocial
2. Narcissistic
3. Avoidant
4. Borderline

Correct answer: 3. Avoidant

Explanation: Ans. is 'c' i.e., Avoidant Personality disorderso ClustorA: Paranoid, Schizoid, Schizotypal.o Clustor B: Antisocial (Dissocial), Histrionic, Narcissistic, Borderlineo Clustor C: Anxious (avoidant). Dependent, obsessive - compulsive (anankastic).